Tubectomy in a heart patient who has recently delivered is best done after
1. 48 hours
2. 1 week
3. 2 weeks
4. Immediately

Correct answer: 2. 1 week

Explanation: Contraception in Heart disease Patients Steroidal contraception is contraindicated as it may precipitate thromboembolic phenomenon IUCD's are avoided in fear of infection Progestin only pills are SAFE and EFFECTIVE Barrier methods is the BEST but failure rate is high Sterilisation should be considered with the completion of family at the end of first week in the puerperium under local anaesthesia through abdominal route by minilap technique. The procedure can be delayed up to several days to ensure that the mother has become hemodynamically near normal and that she is afebrile, not anemic, and ambulating normally Reference: D.C.Dutta's Textbook of Obstetrics, 9th edition; Page no: 260